Dermatitis herpetifomis is associated with:-
1. HLA DR4
2. HLA B8, HLA DQ2 and HLA DQ8
3. HLA CW6
4. HLA DR2

Correct answer: 2. HLA B8, HLA DQ2 and HLA DQ8

Explanation: Dermatitis herpetiformis occurs d/t gluten. HLA associated are: HLA B8 HLA A1HLA DQ2,DQ8, DR3 Psoriasis is associated with HLA CW6